Internal spermatic fascia is derived from ?
1. External oblique muscle
2. Internal oblique muscle
3. Fascia transversalis
4. Colle's fascia

Correct answer: 3. Fascia transversalis

Explanation: Ans. is 'c' i.e., Fascia transversalis Layers of the scrotum The scrotum is made up of the following layers from outside inwards. Skin, continuation of abdominal skin. Dartos muscle which replaces the superficial fascia. The dartos muscle is prolonged into a median vertical septum between the two halves of the scrotum. The external spermatic fascia from external oblique muscle. The cremasteric muscle and fascia from internal oblique muscle. The internal spermatic fascia from fascia transversalis